Koebners phenomenon is seen typically with
1. Scabies
2. Lupus vulgaris
3. Psoriasis
4. Eczema

Correct answer: 3. Psoriasis

Explanation: Koebner phenomenon is the development of isomorphic pathologic lesions in the traumatized uninvolved skin of patients who have cutaneous diseases. Trauma is followed by new lesions in the traumatized but otherwise normal skin, and these new lesions are clinically and histopathologically identical to those in the diseased skin. three disease processes that display the true isomorphic response of Koebner: psoriasis, lichen planus vitiligo iadvl Textbook of dermatology page 136